Otitis externa Haemorragica is caused by:
1. Influenza
2. Proteus
3. Staph
4. Streptococcus

Correct answer: 1. Influenza

Explanation: Otitis externa haemorrhagica is most commonly caused by influenza virus and is characterised by formation of haemorrhagic bullae on the tympanic membrane.